Immediate transient type of increase vascular permeability in acute inflammation -
1. Venules
2. Capillaries
3. Arterioles
4. None

Correct answer: 1. Venules

Explanation: Ans. is 'a' i.e., Venules Formation of endothelial gaps in venules is the most common mechanism of vascular lekage